A patient came with exudative lesions in cubital fossa, popliteal fossa & neck. The diagnosis is
1. Dermatitis herpetiformis
2. Pemphigus
3. Psoriosis
4. Atopic dermatitis

Correct answer: 4. Atopic dermatitis

Explanation: Complaints of exudative lesions suggests of eczema (and underlying spongiosis). And involvement of flexural areas is a typical feature of Atopic dermatitis in adults.